All are true regarding Barrett's oesophagus except
1. Over production of epidermal growth factor from saliva
2. Decreased esophageal pH
3. Decreased esophageal motility
4. Duodenogastric reflux

Correct answer: 1. Over production of epidermal growth factor from saliva

Explanation: Epidermal growth factor from saliva is found to be protective against the damage of esophageal mucosa due to reflux based on various studies Duodenogastric reflux increases biliary exposure of lower esophagus and it has been found biliary reflux causes more damage than gastric reflux Decreased clearance of esophagus by peristalsis and retention of acidic contents (lowpH) in lower esophagus causes more damage